Which of the following is a Enrichment broth
1. Selenite F broth
2. Blood agar
3. Loeffler's serum slope
4. All the above

Correct answer: 1. Selenite F broth

Explanation: Enrichment media is liquid media that allow certain organism to grow and inhibit others.
Example:

Selenite F broth and Tetrathionate broth for salmonella & Shigella.
Alkaline peptone water for Vibro cholerae.